The site of origin of angiofibroma -
1. Roof of nasopharynx
2. Anterior wall of sphenoid bone
3. Posterior part of nasal cavity close to the sphenopalatine ganglion
4. Lateral wall of nasal cavity

Correct answer: 3. Posterior part of nasal cavity close to the sphenopalatine ganglion

Explanation: The most common site is posterior part of nasal cavity close to the margin of sphenopalatine foramen.
The tumor starts adjacent to the sphenopalatine foramen. Large tumors are frequently bilobed or dumbbell-shaped, with one portion of tumor filling the nasopharynx and the other portion extending to the pterygopalatine fossa.